Bacterial endocarditis is rarely seen in -
1. VSD
2. PDA
3. MVP
4. Ostium secundum ASD

Correct answer: 4. Ostium secundum ASD